Most reliable method of identification of a person is -
1. Gustafson method
2. Galton method
3. Anthropometry
4. Scars

Correct answer: 2. Galton method

Explanation: Dactylography is study of fingerprint patterns. It is also known as Galton system or dermatoglyphics. It is considered the most reliable method for identification as these patterns are not inherited and remain permanent and distinctive for each person. ref :Dr.K.S.Narayana Reddys Synopsis of Forensic Medicine & Toxicology 27th edition pg. 47.